Stone which is resistant to lithotripsy:
1. Calcium oxalate
2. Triple phosphate stone
3. Cystine stone
4. Uric acid stone

Correct answer: 3. Cystine stone

Explanation: Answer is C (Cystine stones): Cystine stones are most resiatnt to Lithorriosy.